A decrease in which of the following tends to increase pulse pressure?
1. Systolic pressure
2. Stroke volume
3. Arterial compliance
4. Venous return

Correct answer: 3. Arterial compliance

Explanation: Type of BP Major determinant Systolic BP (SBP) SV (directly proportional) Compliance of aorta (inversely proportional) Diastolic BP (DBP) Elastic recoli of aorta / major vessels (directly proportional) Total peripheral resistance (directly proportional) Pulse pressure (PP) = SBP-DBP Ratio of stroke volume to compliance of the arterial tree Mean arterial pressure (MAP) = (SBP +2* DBP)/3 = DBP +(PP/3) Cardiac output x Total peripheral resistance